Pseudoproptosis is seen in?
1. High myopia
2. Thyrotoxicosis
3. Orbital proptosis
4. Deep orbital tumour

Correct answer: 1. High myopia

Explanation: Ans. (a) High myopiaRef: Kanski 7/e, chapter 3, Khurana 4/e, p 531, 535